A 17-year-old boy presented with TLC of 138 × 109/ L with 80% blasts on the peripheral smear. Chest X-ray demosnstrated a large mediastinal mass. Immunophenotyping of this patent's blasts would most likely demonstrate -
1. No surface antigens (null phenotype)
2. An immature T cell phenotype (Tdt/CD34/CD7 positve)
3. Myeloid markers, such as CD13, CD33 and CD15
4. B cell markers, such as CD19, CD20 and CD22

Correct answer: 2. An immature T cell phenotype (Tdt/CD34/CD7 positve)